Cervical carcinoma is due to HPV -
1. 6,8
2. 16,18
3. 30, 32
4. 15, 17

Correct answer: 2. 16,18

Explanation: Ans. is 'b' i.e., 16, 18 o HPV type 6 & 11 are known to be associated with warts.o HPV type 16, 18, 31 & 33 are associated with cervical carcinoma & CIN. Out of wrhich 16 & 18 are most oncogenic.